Haemoglobin unlike myoglobin shows -
1. Parabolic curve of oxygen association
2. Co-operative effect of combine O2
3. Co-operative index of 81
4. Hill's coefficient of 1

Correct answer: 2. Co-operative effect of combine O2

Explanation: Hemoglobin shows Co-operative binding kinetics i.e. binding of one O2 facilitates binding of other O2 molecules.
Hb-O2 dissociation curve is sigmoid (not parabolic).
Hill coefficient for hemoglobin is 2.8, whereas it is 1 for myoglobin.
There is no term like cooperative index.